In which of the following breast malignancy is the highest bilateral involvement observed?
1. Lobular Ca
2. Ductal Ca
3. Medullary Ca
4. Schirrhous adenocarcinoma

Correct answer: 1. Lobular Ca

Explanation: Invasive lobular carcinoma (ILC) comprises approximately 10% of breast cancers. ILC was significantly more likely to occur in older patients, to be larger in size, to be estrogen and progesterone receptor positive, to have lower S-phase fraction, to be diploid, and to be HER-2, p53, and epidermal growth factor receptor negative. It was more common for ILC than for infiltrating ductal carcinoma (IDC) to metastasize to the gastrointestinal tract and ovary. The incidence of contralateral breast cancer was higher for ILC patients.